What differences can be seen in skulls of male and female before puberty?
1. Difference in weight
2. Difference in size
3. Difference in capacity
4. None of the above

Correct answer: 4. None of the above

Explanation: There are no sex differences until puberty. The differences can be seen post puberty.